The shortest diameter of fetal head is
1. Biparietal diameter
2. Suboccipito-Bregmatic diameter
3. Suboccipito-Frontal diameter
4. Bitemporal diameter

Correct answer: 4. Bitemporal diameter

Explanation: 1. The occipitofrontal (11.5 cm), which follows a line extending from a point just above the root of the nose to the most prominent portion of the occipital bone. 2. The biparietal (9.5 cm), the greatest transverse diameter of the head, which extends from one parietal boss to the other. 3. The bitemporal (8.0 cm), which is the greatest distance between the two temporal sutures. 4. The occipitomental (12.5 cm), which extends from the chin to the most prominent portion of the occiput. 5. The suboccipitobregmatic (9.5 cm), which follows a line drawn from the middle of the large fontanel to the undersurface of the occipital bone where it joins the neck.Reference: William's Obstetrics; 24th edition; Chapter 7; Embryogenesis and Fetal Morphological Development